Complement-mediated lysis is mediated by -
1. IgM
2. IgE
3. IgA
4. IgD

Correct answer: 1. IgM

Explanation: The classical activation pathway activated by antigen/antibody immune complexes. Antigen involved is IgM or IgG
Other pathways of the complement system
a) The mannose-binding lectin activation pathway activated by microbes with mannose terminal groups.
b) The alternative activation pathway activated by microbes or tumor cells.
c) The terminal pathway that is common to first three pathways and leads to the membrane attack complex that lyses cells.